An 18 year old lady presents with severe sore throat, fever and malaise. She has cervical lymphadenopathy, splenomegaly and scattered petechiae on the soft palate with enlarged tonsils covered with white exudates. Which of the following investigations is most likely to help guide your management?
1. Fine needle aspiration of a lymph node
2. Hepatitis B surface antigen
3. Heterophile antibody test
4. HIV test

Correct answer: 3. Heterophile antibody test